Vitamin A prophylaxisis is :-
1. Specific protection
2. Health promotion
3. Secondary prevention
4. Primordial prevention

Correct answer: 1. Specific protection

Explanation: - Vitamin A Prophylaxis is given before the disease has occurred to children at-risk. So, it is a primary prevention. - Since, it is specific to prevention of Vitamin A deficiency blindness, it is specific protection. - All vaccines, prophylaxis comes under primary prevention i.e specific protection of the disease. Prophylactic dose- Under the new recent guidelines in NIS, vitamin -A is given: GROUP DOSE 6 months - 1 year of age 1 lakh IU orally 1 - 6 years of age 2 lakh IU orally All of the early stages of xerophthalmia can be reversed by administration of a massive dose (200,000 IU or 110 mg ofretinol palmitate) orally on two successive days.